Most serious injury to eye is caused by:
1. Nitric acid
2. Hydrochloric acid
3. Sulphiric acid
4. Lime

Correct answer: 4. Lime

Explanation: Ans: d (Lime) Ref: AK Khurana, 4th ed, p. 414In general the serious chemical bums are caused by alkalies & acids of which more serious ones are alkali bums. Alkali bumsAcid bumsAgentLime, caustic soda, caustic potashLiquid ammonia ( most harmful)Sulphuric acid, citric acid, hydrochloric acidMechanismSaponification of fatty acids in the cell membraneExtract water - total necrosisSoftening & gelatinizationAll result in increased penetration into tissuesCoagulation of all the proteins which then act as barriers & prevent deeper penetration of acids into tissuesRxImmediate & thorough washThen weak acids (eg. Boric acid ) neutralizationImmediate & thorough washThen weak alkali(sodiumcarbonate) neutralization